Skin grafts stored 4oC can survive up to?
1. 1 week
2. 2 weeks
3. 3 weeks
4. 4 weeks

Correct answer: 3. 3 weeks

Explanation: .SKIN GRAFTING: It is transfer of skin from one area (donor area) to the required defective area (recipient area). It is an autograft. Types - 1. PARTIAL THICKNESS GRAFT (Split thickness graft--SSG) Also called as Thiersch graft, is removal of full epidermis + part of the dermis from the donor area It may be * Thin SSG. * Intermediate SSG, all depends on the amount of thickness of dermis taken. * Thick SSG. Graft is stored at low temperature of 4degC for not more than 21 days. ref:SRB;s manual of surgery,ed 3,pg no 279